Typhoid carriers harbor bacteria in
1. Gallbladder
2. Urinary bladder
3. Pancreas
4. Spleen

Correct answer: 1. Gallbladder

Explanation: Salmonella typhi or Salmonella typhimurium can infect the gallbladder. Acute cholecystitis can occur. More frequently, chronic cholecystitis occurs, the patient becoming a typhoid carrier excreting the bacteria in the bile.Ref: Bailey and love 27e pg: 1202